The most common type of fingerprint is
1. Loop
2. Arch
3. Composite
4. Whorl

Correct answer: 1. Loop

Explanation: (Loop) (2.15-P)* According to Quetlets Rules* Commonest is loop (67%) and least is composite (1-2%)* Order - Loop >Whorl (25%) >Arches (6-7%) > Composite* For the purpose of primary classification of criminal work. Arches are included under loops and composites under whorls.